The concept of occlusion that maintains that the anteroposterior plane of occlusion should be parallel with the denture foundation and not dictated by the horizontal condylar guidance is called.
1. Lingualised concept
2. Balanced concept
3. Neutrocentric concept
4. Mutually protected concept

Correct answer: 3. Neutrocentric concept